Most important amino acid for formation Neutrophilic extracellular trap (NET) is?
1. Leucine
2. Methionine
3. Citrulline
4. Valine

Correct answer: 3. Citrulline

Explanation: Conversion of arginine residues to citrulline in the histones is an essential step in the formation of neutrophil extracellular traps. The nuclear chromatin in the NETs, which includes histones and associated DNA, may be a source of nuclear antigens in systemic autoimmune diseases, particularly lupus, in which individuals react against their own DNA and nucleoproteins.